True about third heart sound (H3)-
1. Heard in MR
2. Systolic sound
3. High pitch sound
4. Normal in adults

Correct answer: 1. Heard in MR

Explanation: s3 is heard in MR(Mitral regurgitation) it is a diastolic sound,low pitched sound and pathological in adults The third heart sound (S3), also known as the "ventricular gallop," occurs just after S2 when the mitral valve opens, allowing passive filling of the left ventricle.CLINICAL PEARL: A S3 heart sound is often a sign of systolic heart failure, however it may sometimes be a normal finding. Ref Harrison 20th edition pg 1435